A beta hemolytic bacteria is resistant to vancomycin shows growth in 6.5% NaCI, is non bile sensitive. It is likely to be -
1. Strep agalactiae
2. Strep pneumoniae
3. Enterococcus
4. Strep bovis

Correct answer: 3. Enterococcus

Explanation: Ans. is 'c' i.e., Enterococcus The bacteria in this question is showing growth in 6.5% NaC1, non bile senstive (ie growing in the presence of bile) and showing 3 hemolysis, Enterococci have all these features.